The Principal site of absorption of Sodium is :
1. Proximal convoluted tubule
2. Distal convoluted tubule
3. Loop of Henle (thick portion)
4. Collecting duct

Correct answer: 1. Proximal convoluted tubule

Explanation: A i.e. Proximal convoluted tubuleNormally about 60% of the filtered Na+ is reabsorbed in the proximal tubuleQ.Sodium ReabsorptionPercentageSite60%Proximal tubuleQ (by N a+ - H+ exchange)30%Thick ascending limb (by Na+ - 2C1+ - K+ cotransport)7%Distal convoluted tubule (by Na+ - Cl- cotransport)3%Collecting duct. ( ENaC channels)